Discharging sinus is seen in
1. Sporotrichosis
2. Cryptococcosis
3. Histoplasmosis
4. Mycetoma

Correct answer: 4. Mycetoma

Explanation: Mycetoma begins as a subcutaneous swelling usually of the foot which enlarges and borrows into the deeper tissues producing abscess. It burst with the formation of chronic multiple sinuses discharging viscous seropurulent fluid containing granules. Ref: Textbook of Microbiology, Ananthanarayan and Paniker; 9th edition